Filigree burn occur in:
1. Lightning
2. Electrocution
3. Vitriolage
4. Infanticide

Correct answer: 1. Lightning

Explanation: Ans. Lightning